All are radiosensitizer except –
1. 5-Fu
2. BUDR
3. Cyclophosphamide
4. Hydroxyrea

Correct answer: 3. Cyclophosphamide